Tear drop fracture of lower cervical spine implies -
1. Wedge compression fracture
2. Axial compression fractures
3. Flexion-rotation injury with failure of anterior body
4. Flexion compression failure of body

Correct answer: 4. Flexion compression failure of body

Explanation: Severe injuries are due to axial compression of the cervical spine, usually in diving or athletic accidents . If vertebral body is crushed in neutral position of the neck the result is burst fracture. *With combined axial compression & flexion ,an antero- inferior fragment of the vertebral body is sheared off , producing eponymous 'tear drop' on lateral x- ray .in both type there is a risk of posterior displacement of the vertebral body fragment & spinal cord injury . * plain x- ray - flexion deformity with a triangular fragment separated from antero- inferior edge of the fractured vertebra REF : MAHESWARI 9TH ED